Cafe au lait spots seen in? -
1. NF
2. Gardnersyndrome
3. Cockayne syndrome
4. Down syndrome

Correct answer: 1. NF

Explanation: Ans is 'a' i.e., NF o Cafe au lait spots or Cafe au lait macules are pigmented (light brown) birthmarks, also called ''giraffe spots'1 or "coast of Maine spots".Cafe au lait spots can arise from diverse and unrelated causes:o Having six or more cafe au lait spots greater than 5 mm in diameter before puberty, or greater than 15 mm in diameter after puberty, is a diagnostic feature of neurofibromatosis type I, but other features are required to diagnose NF 1.o Familial multiple cafe au lait spots have been observed -without NF-1 diagnosis,o They can be caused by vitiligo in the rare McCune-A (bright syndrome,o Legius syndromeo Tuberous sclerosiso Fanconi anemia, a rare genetic disease,o Idiopathico Ataxia telangiectasiao Basal cell nevus syndromeo Benign congenital skin lesiono Bloom syndromeo Chediak Higashi syndromeo Congenital naevuso Gaucher diseaseo Hunter syndromeo MaiYucci syndromeo Multiple mucosal neuroma syndromeo Noonan syndromeo Silver-Russell syndromeo Watson syndromeo Wiskott-Aldrich syndrome